Byssinosis is caused due to inhalation of:
1. Cotton fibre dust
2. Coal dust
3. Silica dust
4. Asbestos

Correct answer: 1. Cotton fibre dust

Explanation: Byssinosis is caused due to inhalation of cotton fibre dust over long periods of time. It leads to pneumoconiosis causing chronic lung disease. Ref: Park 21st edition, page 747. Chapter: Occupational health.